All of the following true of septoplasty operation for DNS except:
1. Indicated in septal deviation
2. Mucoperichondrium is removed
3. Preferably done after 16 years of age
4. Done in some cases of epistaxis

Correct answer: 2. Mucoperichondrium is removed

Explanation: Ans. B Mucoperichondrim is removed Submucous Resection of Nasal Septum Indications Deviated nasal septum (DNS) causing symptoms of nasal obstruction and recurrent headache. DNS causing obstruction to ventilation of paranasal sinuses and middle ear, resulting in recurrent sinusitis and otitis media. Recurrent epistaxis from septal spur. As a part of septorhinoplasty for cosmetic correction of external nasal deformities. As a preliminary step in hypophysectomy (transseptal transsphenoidal approach) or vidian neurectomy (transseptal approach). Steps of Operation Generally done in adults under local anesthesia. Consists of elevating the mucoperichondrial and mucoperiosteal flaps on either side of the septal framework by a single incision made on one side of the septum, removing the deflected parts of the bony and cartilaginous septum, and then repositioning the flaps. In SMR-complete removal of septal cartilage, results in supratip depression of cartilagenous nasal dorsum. Submucous resection is not advocated in children up to 17 years of age as it may interfere with development ofthe facial bones.